Fundus in retinitis Pigmentosa is –
1. White spots with red disc
2. Jet–black spots with pale–waxy disc
3. No pigmentation
4. Dilatation of arterioles

Correct answer: 2. Jet–black spots with pale–waxy disc